Humming bird sign on MRI is seen in
1. Progressive supra nuclear palsy
2. Multiple sclerosis
3. Developmental venous malformation
4. All of the above

Correct answer: 1. Progressive supra nuclear palsy

Explanation: Humming bird sign - PSP.
Dawson's finger sign - Multiple sclerosis.